In a case of fracture of middle cranial fossa, lesion of which of the following structure result in absence of tears?
1. Ciliary ganglion
2. Cervical ganglion
3. Trigeminal ganglion
4. Greater petrosal nerve

Correct answer: 4. Greater petrosal nerve

Explanation: Greater petrosal nerve is a branch of facial nerve. It traverse through the petrous part of temporal bone, middle cranial fossa, pterygoid canal and pterygopalatine fossa to ultimately supply secretory function to the lacrimal gland. So in case of fracture of middle cranial fossa, this nerve is damaged which in turn lead to absent innervation of lacrimal glands and absent tears.